Antibodies for the following conditions may be transmitted from mother to fetus except -
1. Rh-incompatibility
2. Isoimmune thrombocytopenia
3. Toxic erythema
4. Myaesthenia gravis

Correct answer: 3. Toxic erythema